Which of the following drug acts by inhibiting tyrosine kinase activated by EGF receptor as well as HER2 ?
1. Imatinib
2. Geftinib
3. Erlotinib
4. Lapatinib

Correct answer: 4. Lapatinib